Herpangina is caused by
1. Cox-sackie virus A
2. Echovirus 18
3. echovirus 16
4. poliovirus

Correct answer: 1. Cox-sackie virus A

Explanation: (A) Cox-sackie virus A # Herpangia:> It is a coxsackie viral infection mostly affecting children. To begin with, multiple small vesicles appear on the faucial pillars, tonsils, soft palate and uvula.> They rupture to form ulcers which are usually 2-4 mm in size, have a yellow base and red areola around them. They seldom persist beyond one week.